A 15-year-old girl was admitted to the infectious disease hospital with a provisional diagnosis of rabies. The most suitable clinical sample that can confirm the antemortem diagnosis is -
1. Serum for anti-rabies IgG antibody
2. Corneal impression smear for immunofluorescence stain
3. CSF sample for viral culture
4. Giemsa stain on smear prepared from salivary secretions

Correct answer: 2. Corneal impression smear for immunofluorescence stain

Explanation: Specimen tested in rabies are corneal smears and skin biopsy in ante mortem analyzed by immunoflurescent REF:ANANTHANARYANAN TEXTBOOK OF MICROBIOLOGY 9EDITION PGNO.534